Commonest cause of Intra cerebral bleed -
1. Berry aneurysms
2. Hypertension
3. Diabetes
4. Thrombocytopenia

Correct answer: 2. Hypertension

Explanation: Primary intracerebral hemorrhage occurs mostly in patients with hypertension and is due to rupture of one of the numerous microaneurysms found in the brain tissue of most people with hypertension. Muir's Textbook of pathology Edited by JR Anderson, 12th edition, page no 21.20